All of the following are true about interstitial lung disease, Except:
1. Decreased FVC
2. Decreased FEV1
3. Decreased FEV 1 /FVC
4. Decreased Diffusion capacity

Correct answer: 3. Decreased FEV 1 /FVC

Explanation: Answer is C (Decreased FEVI/FVC): Interstial lung diseases produce a restrictive pattern on Pulmonary function testing and are characterized by a normal or elevated FEVIFVC ratio which is greater than 0.7 FEV and FVC are both reduced in interstitial lung disease but the decrease in FEVI is in proportion to decrease in FVC and hence the FEVI/FVC ratio is normal (or increased)